Maximum Power of destruction of a disease is measured by
1. Survival rate
2. Case fatality rate
3. Specific death rate
4. Proportional mortality rate

Correct answer: 2. Case fatality rate

Explanation: Case fatality rate represents the killing power of disease. It is simply the ratio of deaths to cases.Used in acute infectious diseases.Case fatality is closely related to virulence.Park 23e pg:59